Balancing side contacts in natural teeth
1. Improves muscle balance
2. Provides balanced occlusion
3. Destruct the PDL
4. Direct the forces to the long axis of the tooth

Correct answer: 3. Destruct the PDL